Which of the following trace element cannot be completely supplemented by diet in pregnancy -
1. Fe
2. Ca++
3. Zn
4. Manganese

Correct answer: 1. Fe

Explanation: Iron in pregnancy Iron requirement per day in Non-pregnant woman: 1.6 mg per day Iron intake (suggested) per day in Non-pregnant woman: 21 mg per day Iron requirement per day in pregnant woman : 2.8 mg per day Iron intake (suggested) per day in pregnant woman: 35 mg per day. Iron content of IFA tablets in pregnancy : 100 mg per day. Total iron requirement in pregnancy : 1000mg Even if total iron is supplemented there is hemodilution and and loss of blood during pregnancy resulting in decreased fe content in body Ref: Park 25th edition Pgno : 674